Le-Foe fracture is for:-
1. Facial skeleton
2. Lower limb box
3. Spinal injury
4. Pelvis fracture

Correct answer: 1. Facial skeleton

Explanation: Le-Foe fracture is for facial skeleton. MIDFACE FRACTURE Midface fractures involving the maxilla can be classified by fracture patterns known as Le Fort I, II, and III. Le Fort I Fracture line runs above and parallel to palateQ Effectively separates alveolus and palate from the facial skeleton aboveQ Le Fort II Pyramidal in shapeQ Passes through the root of nose, lacrimal bone, floor of orbit, upper part of maxillary sinus and pterygoid plateQ Orbital floor is always involvedQ Le Fort III Complete disjunction of the facial skeleton from the skull baseQ Fracture line runs high through the nasal bridge, septum and ethmoids, and through the bones of orbit to the frontozygomatic sutureQ. MANAGEMENT Interdental or intermaxillary fixation is necessary to reestablish the proper dentoskeletal relationships, immobilize the fractured bones, and ensure normal postoperative occlusionQ.